Material usually used for construction of sanitary pontic is
1. All metal
2. PFM
3. All ceramic
4. Resin

Correct answer: 1. All metal